Autistic disorder is characterized by all of the following , except:
1. Visual impairment
2. Lack of social Interaction
3. Stereotypical movements
4. Delayed development of speech

Correct answer: 1. Visual impairment

Explanation: Autism is a pervasive developmental disorder characterized by impairment of social interaction. Other characteristic features of this disorder are repetitive motor activities or obsessions and impairment in verbal and nonverbal communication. It is not associated with visual impairment.Ref: Emergency Medical Technician Transition Manual By American Academy of Orthopaedic Surgeons, page 326.